The MOST commonly affected arteries seen by arteriography in Takayasu's arteritis is:
1. Abdominal aorta
2. Common carotid
3. Subclavian
4. Aortic arch or root

Correct answer: 3. Subclavian

Explanation: Frequency of arteriographic abnormalities in Takayasu's ArteritisSubclavian 93%Common carotid 58%Abdominal aorta 47%Renal 38%Aortic arch or root 35%Pulmonary 10-40%Coronary Ref: Harrisons principles of internal medicine, 18th edition, Page: 2796.